Which is not true about Cryptococcus neoformans
1. Grows at 37 o C
2. Grows on sabouraud's agar
3. Polysaccharide capsule
4. Urease negative

Correct answer: 4. Urease negative

Explanation: It hydrolyses urea which differentiates Cryptococcus neoformans from non-pathogenic cryptococcus. Ref: Textbook of Microbiology, Ananthanarayan and Paniker; 9th edition